A 50 year old male with type 2 diabetes mellitus is found to have 24-hr urinary albumin of 250 mg. Which of thefollowing drugs may be used to retard progression of renal disease -
1. Hydrochlorthiazide
2. Enalapril
3. Amiloride
4. Aspirin

Correct answer: 2. Enalapril

Explanation: Answer is option 2 - Enalapril ACE inhibitors and angiotensin receptor blockers are specifically indicated to reduce progression of renal disease. Drug specific benefit in patients in diabetic nephropathy independent of blood pressure control has been shown only for ACE inhibitors and ARB's in patients with DM. Ref Harrison 19 /2428